The most common toxin causing Dilated Cardiomyopathy is:
1. Alcohol
2. Chemotherapeutic agents
3. Heavy metal
4. Occupational exposure

Correct answer: 1. Alcohol

Explanation: Answer is A (Alcohol) Chronic Alcohol Consumption is the most common cause of Toxic Dilated Cardiomyopathy. Alcohol is the most common toxin implicated in chronic dilated cardiomyopathy' Note : Dilated cardiomyopathy is the most common type of cardiomyopathy The most common cause of dilated cardiomyopathy is Idiopathic (Two-Thirds) Alcohol Consumption is the most common cause of Toxic Dilated Cardiomyopathy